A 21 years female of 143 cm height present primary amenorrhea, absent breast, Cubitus valgus. Most probable diagnosis is?
1. Turner's syndrome
2. Mixed gonadal dysgenesis
3. Mayer Rokitansky kuster Hauser syndrome
4. Androgen insensitivity syndrome

Correct answer: 1. Turner's syndrome

Explanation: Individuals with Turner's syndrome are phenotypic females with primary amenorrhea, absent secondary sexual characteristics, short stature, multiple congenital anomalies, and bilateral streak gonads. Characteristic Findings in Women with Turner Syndrome: Height 142-147cm Micrognathia Epicanthal folds Low-set ears Sensorineural hearing loss Otitis media leading to conductive loss High-arched palate Webbing of the neck Chest square and shield-like Lack of breast development Areolae widely spaced Coarctation of the aorta Short fourth metacarpal Cubitus valgus Renal abnormalities Autoimmune disorders Autoimmune thyroiditis Diabetes mellitus Ref: Hoffman B.L., Schorge J.O., Schaffer J.I., Halvorson L.M., Bradshaw K.D., Cunningham F.G., Calver L.E. (2012). Chapter 18. Anatomic Disorders. In B.L. Hoffman, J.O. Schorge, J.I. Schaffer, L.M. Halvorson, K.D. Bradshaw, F.G. Cunningham, L.E. Calver (Eds), Williams Gynecology, 2e.